False about p53 is:
1. It is present on chromosomes 17
2. It causes cell cycle arrest in G 1
3. 53 KDa
4. Non mutated wild p53 is asssociated with neoplasm in childhood

Correct answer: 4. Non mutated wild p53 is asssociated with neoplasm in childhood

Explanation: Non mutated wild p53 is asssociated with neoplasm in childhood